Niacin deficiency causes all except -
1. Diarrhea
2. Dyspepsia
3. Dementia
4. Dermatitis

Correct answer: 2. Dyspepsia

Explanation: - niacin deficiency results in pellagra. The disease is characterized by diarrhea, dermatitis and dementia. - niacin deficiency is common in maize eating population due to aminoacid imbalance cause by an excess of leucine. - excess of leucine appears to interfere in the conversion of tryptophan to niacin. Reference: Park's textbook of preventive and social medicine, 23rd edition, pg no:619